Somnambulism is mostly seen in which age group?
1. Children
2. Adolescents
3. Adults
4. All age group

Correct answer: 1. Children

Explanation: Somnambulism - Sleep walking, seen in stage 4 and 3 of NREM sleep. - It is mostly seen in children and is mostly prevalent in ages 4 to 8 years.